In a post-operative patient, 21 years old with 70 kg weight, 1 unit of packed RBC will raise the hematocrit by:
1. 1
2. 5-Mar
3. 10-Jul
4. 15

Correct answer: 2. 5-Mar

Explanation: A rise in the hemoglobin of 1 g/dL ( hematocrit rise of 3%) occurs after transfusion of one unit of whole blood or PRBC in an adult.